The site of action of the furosemide is
1. Thick ascending limb of loop of Henle
2. Descending limb of loop of Henle
3. Proximal convoluted tubule
4. Distal convoluted tubule

Correct answer: 1. Thick ascending limb of loop of Henle

Explanation: Furosemide is a loop diuretic and this group of drugs act on thick ascending limb of loop of Henle